Virulence factors for meningococci -a) Capsuleb) Pili c) Endotoxind) Coagulasee) M. Protein
1. ac
2. abc
3. ade
4. bc

Correct answer: 2. abc

Explanation: Virulence factor of Meningococcus:

Refer text (chapter review) for explanation:
Option d: Coagulase is a Virulence factor for Staphylococcus
Option e: M protein is a Virulence factor for Streptococcus.

Ref: Apurba Sastry’s Essentials of Medical Microbiology 1/e p236